Chinese lantern on transillumination seen in:
1. Spermatocele
2. Epididymal cyst
3. Hydrocele of cord
4. Secondary hydrocele

Correct answer: 2. Epididymal cyst

Explanation: Chinese - Lantern pattern on transillumination is more commonly seen in epididymal cyst.